Marker for acute viral hepatitis caused by HBV:
1. IgM anti-HBc Ag
2. IgG anti-HBc Ag
3. IgM anti-HBs Ag
4. IgG anti-HBs Ag

Correct answer: 1. IgM anti-HBc Ag

Explanation: Ans. a. IgM anti-HBcAg